A blood donor is not considered for safe transfusion, if he has -
1. Anti FlBsAg +ve
2. Anti HBsAg and HBcAg (+)ve
3. HBsAg +ve and IgM anti HBc +ve
4. Anti HBc +ve

Correct answer: 3. HBsAg +ve and IgM anti HBc +ve

Explanation: Ans. is 'c' i.e., HBs Ag + ye and IgM anti HBc +ve . HBs Ag(+)ve and IgM anti HBc (+)ve indicates acute HBV infection, which is a contraindication of blood tranfusion. About other options Option a . Anti HBs Ag antibody may be (+)ve either after immunization or after recovery from HBV infection. In both the conditions, blood can be transfused. Option b . HBc Ag can not be (+)ve as it does not appear in blood. Option c . When Anti HBe is (+)ve blood can be transfused if other markers of infection are also negative eg: HBsAg, HBV DNA, IgM anti HBC.